Which of the following local anesthetic is amide :
1. Lidocaine
2. Procaine
3. Chloroprocaine
4. Cocaine

Correct answer: 1. Lidocaine

Explanation: Lidocaine is an amino amide local anaesthetic. Metabolized by microsomal P-450 enzymes in the liver. cocaine , proacaine and chloroprocaine are short acting amino ester local anesthetic.